H1 antihistaminics afford benefit in a number of conditions. All of the following conditions are benefited by antagonism of histamine :
1. Dermographism
2. Insect bite
3. Common cold
4. Seasonal hay fever

Correct answer: 3. Common cold

Explanation: In common cold , excessive secretions (like rhinorrhoea) are due to cholinergic overactivity. First generation antihistaminics possess anticholinergic property and therefore are effective for common cold. On the other hand, all other conditions are allergic and reare benefited by antagonism of H1 receptors.